Which of the following is not associated with dementia:
1. Forgetfulness
2. Alteration of consciousness
3. Reduced personal care
4. Loss of neurons in brain

Correct answer: 2. Alteration of consciousness

Explanation: Ans. B: Alteration of consciousnessThere is impairment of judgement and impulse control, and also impairment of abstract thinking There is however usually no impairment of consciousness in dementia (unlike in delirium) Dementia:Chronic onsetNo disturbance of consciousnessCognitive impairmentPersonality alterationImpaired memoryImpaired judgmentAbsent diurnal variation